A newborn baby was born with phocomelia. It results due to which drug taken by mother during pregnancy ?
1. Tetracycline
2. Thalidomide
3. Warfarin
4. Alcohol

Correct answer: 2. Thalidomide

Explanation: Thalidomide is highly teratogenic drug that can result in phocomelia as congenital anomaly.